All are risk factor for endometrial carcinoma except :
1. Diabetes
2. Hypertension
3. Obesity
4. Multiparity

Correct answer: 4. Multiparity

Explanation: Multiparity